Periphery of retina is visualized by:
1. Indirect ophthalmoscopy
2. Direct ophthalmoscopy
3. Goniocopy
4. Contact lens

Correct answer: 1. Indirect ophthalmoscopy

Explanation: A i.e. Indirect opthalmoscopy - Area of retina visualized by direct ophthalmoscopy is 2disc dioptersQ and by indirect ophthalmoscopy is 8 DD. Peripheral retina is visualized by indirect opthalmoscopy Q and biomicroscopy examination by Goldmann's three mirror contact lens.Q